Illegal abortion of a woman with her consent is punishable under -
1. Sec 310 IPC
2. Sec 312 IPC
3. Sec 313 IPC
4. Sec 314 IPC

Correct answer: 2. Sec 312 IPC

Explanation: Sec 312 IPC states that whoever voluntarily causes a woman with child to miscarry, shall, if such miscarriage be not caused in good faith for the purpose of saving the life of the woman, be punished with imprisonment of either description for a term which may extend to three years, or with fine, or with both; and, if the woman be quick with child, shall be punished with imprisonment of either description for a term which may extend to seven years, and shall also be liable to fine. Explanation.--A woman who causes herself to miscarry, is within the meaning of this section. Sec 310 and 311 IPC states about definition and punishment for thug. Sec 314 IPC deals with punishment for death caused with intent to cause miscarriage Ref: . Dr. K. S. Narayan Reddys Synopsis of Forensic Medicine & Toxicology 27th edition pg. 184.